Lyme disease caused by -
1. Leptospira
2. Borrelia
3. Treponema
4. Bordetella

Correct answer: 2. Borrelia

Explanation: Ans. is 'b' i.e., Borrelia * Pathogenic spirochetes belong to three genera: Treponema, Borrelia and Leptospira.SpirocheteSpeciesDiseaseTreponemaPallidumSyphilis EndemicumBejel PertunaeYaws CarateumPintaBorreliaBurgdorferiLyme disease RecurrentisRelapsing fever VincentiVincent anginaLeptospiraInterrogansWeil's disease